Which of the following is not a sexually transmitted disease -
1. Hepatitis B
2. Amoebiasis
3. Bacterial vaginosis
4. Yaws

Correct answer: 4. Yaws